A mother has been diagnosed with chicken pox. She delivered 7 days ago a term infant that appears to be healthy. The baby is afebrile. Which of the following is the most appropriate step in management?
1. Advise the mother to continue regular baby care
2. Hospitalize the infant in the isolation ward
3. Administer acyclovir to the infant
4. Administer varicella-zoster immunoglobulin(VZIG) to the infant

Correct answer: 1. Advise the mother to continue regular baby care

Explanation: If a normal full-term newborn is exposed to chickenpox 2 or more days after delivery, VZIG and isolation are not necessary because these babies appear to be at no risk for complications. VZIG should be given to the infant immediately after delivery if the mother had the onset of varicella within 5 days prior to delivery, and immediately upon diagnosis if her chicken pox started within 2 days after delivery. Acyclovir may be used in infants at risk for severe varicella, such as those infants exposed perinatally.